Which one of the following is NOT a common feature of bile duct stone
1. Obstructive jaundice
2. Itching
3. Clay colored stools
4. Distended gallbladder

Correct answer: 4. Distended gallbladder

Explanation: In obstruction of CBD due to a stone,distension of the gall bladder seldom occurs,the organ is usually already shrivelled.In obstruction from other causes,distension of the gall bladder is common by comparison. Obstructive jaundice is present with clay coloured stools in choledocholithiasis due to the absence of stercobilinogen.Pruritis is also present due to the accumulation of bile acid.